False about Aliskiren is:
1. It is an oral renin inhibitor
2. It can result in hyperkalemia
3. It is p-glycoprotein inhibitor
4. Blocks conversion of angiotensinogen to Angiotensin I

Correct answer: 3. It is p-glycoprotein inhibitor

Explanation: Aliskiren: MOA: Potent competitive inhibitor of renin. Binds the active site of renin and blocks conversion of angiotensinogen to Angiotensin I. Pk: Bioavailability of aliskiren is low but still used orally as it has high affinity and potency. It is a substrate for P- glycoprotein (Not the inhibitor). It can cause hyperkalemia by inhibiting the RAAS through which K+ is removed from the body. It is well tolerated in: Elderly population. Hepatic disease and renal insufficiency patients. Type 2 diabetes patients.